Beta cells of pancreas produce:
1. Glucagon
2. Gastrin
3. Insulin
4. Pancreatin

Correct answer: 3. Insulin